A drug company is developing a new pregnancy-test kit for use on an outpatient basis. The company used the pregnancy test on 100 women who are known to be pregnant. Out of 100 women, 99 showed positive test. Upon using the same test on 100 non-pregnant women, 90 showed negative result. What is the sensitivity of the test -
1. 90%
2. 99%
3. Average of 90 & 99.
4. Cannot be calculated from the given data

Correct answer: 2. 99%

Explanation: Ans. is 'b' i.e., 99%